Cervical vertebrae can be differentiated from thoracic vertebrae on the basis of which of the following features?
1. Triangular body
2. Presence of foramen transversarium
3. Superior articular facet which is directed backwards and sidewards
4. Presence of a large vertebral body

Correct answer: 2. Presence of foramen transversarium

Explanation: Foramen transversarium is a characteristic feature of cervical vertebrae. Foramen transversarium of transverse process of cervical vertebrae transmits:Vertebral artery,Vertebral veins,Branch from the inferior cervical sympathetic ganglion.Thoracic vertebrae is chracterised by the presence of costal facets in the body.Lumbar vertebrae has:Kidney shaped bodyLong thin transverse processSpine which is short, quadrilateral and horizontalPresence of mamillary body and accessary mamillary processAbsence of foramen transvorsorium and costal facets.